In infants defecation often follows a meal. The cause of colonic contraction in this situation is ______
1. Gastroileal reflex
2. Enterogastric reflex
3. Increased circulation of CCK
4. Gastrocolic reflex

Correct answer: 4. Gastrocolic reflex

Explanation: The cause of colonic contraction in the given situation is due to gastrocolic reflex. Distension of the stomach by food initiates contractions of the rectum and frequently, a desire to defecate. This response is called the gastrocolic reflex. Beacuse of thus repsonse, defecation after meals is common in children. This response may be amplified by the action of gastrin on the colon. Ref: Ganong's review of medical physiology 26th edition Pgno: 493,494